All are true about Point source epidemic except
1. Secondary Waves are not seen
2. All the cases occur simultaneously
3. Plateau is seen
4. None

Correct answer: 3. Plateau is seen